Blisters are characteristically seen in:
1. Superficial 1st degree burn
2. Superficial 2nd degree burn
3. 3rd degree burn
4. Deep first degree burn

Correct answer: 2. Superficial 2nd degree burn

Explanation: Ans. (b) Superficial 2nd degree burnRef: Schwartz 10th edited, Page 229* Second degree burns have dermal involvement and are extremely painful with weeping and blisters